Oral dyskinesia may be caused by
1. Complete loss of teeth
2. TMJ ankylosis
3. Herpes simplex infection
4. Pemphigus vulgaris

Correct answer: 1. Complete loss of teeth